Vein used to bypass the coronary artery
1. Long saphenous vein
2. Short saphenous vein
3. Soleal vein
4. Tibial vein

Correct answer: 1. Long saphenous vein

Explanation: Varicose veins are due to the tortuosity of the long saphenous vein and occur mostly due to prolonged standing.The long saphenous vein is used to bypass the coronary artery after inverting the vein.Ref: Chaurasia; Volume 2; 6th edition; Page no: 135